Lingual plate is indicated in all, except
1. Periodontally weakened tooth
2. Anterior ridge resorption
3. High Lingual frenum
4. Vestibule of more than 8 mm

Correct answer: 4. Vestibule of more than 8 mm